Maximum stress that a material can withstand without permanent deformation is known as:
1. Proportional limit.
2. Elastic limit.
3. Strain.
4. Yield strength.

Correct answer: 2. Elastic limit.